Simple diffusion and facilitated diffusion share which of the following characteristics?
1. Can be blocked by specific inhibitors
2. Do not require adenosine triphosphate (ATP)
3. Require transport protein
4. Saturation kinetics

Correct answer: 2. Do not require adenosine triphosphate (ATP)

Explanation: In contrast to primary and secondary active transport, neither facilitated diffusion nor simple diffusion requires additional energy and therefore, can work in the absence of ATP. Only facilitated diffusion displays saturation kinetics and involves a carrier protein. By definition, neither simple nor facilitated diffusion can move molecules from low to high concentration. The concept of specific inhibitors is not applicable to simple diffusion that occurs through a lipid bilayer without the aid of protein.